Brunner's glands are located in the
1. Duodenum
2. Jejunum
3. Ileum
4. All

Correct answer: 1. Duodenum

Explanation: INDERBIR SINGH'S TEXTBOOK OF HUMAN HISTOLOGY-PAGE NO:272 The wall of the small intestine is made up of the four layers:mucous,submucous,muscularis and serous.the serous and muscular layers correspond exactly to the general structure of alimentary canal.the submucosa is also typical except in the duodenum,where it contains the glands of brunner